In transection between hypothalamus and anterior pituitary, the production of which hormone remains unaffected?
1. Testosterone
2. Oxytocin
3. Thyroxine
4. Cortisol

Correct answer: 2. Oxytocin

Explanation: (B) Oxytocin # Oxytocin is a posterior pituitary hprmone and rest are hormones regulated by releasing hormones of hypothalamus and thence anterior pituitary therefore transection btw hypothalamus and anterior pituitary does not effect the production of posterior pituitary hormone oxytocin.